Glomerulonephritis associated with sensory neural deafness are features of
1. Alport's syndrome
2. Nail patella syndrome
3. Down's syndrome
4. Fabry's syndrome

Correct answer: 1. Alport's syndrome

Explanation: Ans. is 'a' Alport's syndrome Alport's syndrome is characterized byGlomerulonephritis*Deafness*Lenticonus*Some other frequently asked syndromes associated with deafness:1. Waardenburg syndrome*Pigmentary abnormalityHearing loss2. Pendred syndrome*Defect in thyroid hormone synthesis &Hearing loss